Coarctation of Aorta is most commonly associated wtth-
1. Bicuspid Aortic valve
2. Patent Dustus Arteriosus (PDA)
3. Ventricular Soptal Defect (VSD)
4. Atrial Septal Defect (ASD)

Correct answer: 1. Bicuspid Aortic valve

Explanation: Coarctation occurs in ~7% of patients with congenital heart disease, is more common in males than females, and is particularly frequent in patients with gonadal dysgenesis (e.g., Turner syndrome). Clinical manifestations depend on the site and extent of obstruction and the presence of associated cardiac anomalies; most commonly a bicuspid aortic valve. Circle of Willis aneurysms may occur in up to 10%, and pose a high risk of sudden rupture and death. ( Harrison's principle of internal medicine,18th edition,pg no. 1925)